Which enzyme is inhibited by sodium fluride?
1. Enolase
2. Aconitase
3. Glyceraldehyde 3 phosphate dehydrogenase
4. Pyruvate dehydrogenase

Correct answer: 1. Enolase

Explanation: Ans. is 'a' i.e., EnolaseINHIBITORS OF GLYCOLYSIS AND CITRIC ACID CYCLEGLYCOLYSISGlyceraldehyde 3 phosphate dehydrogenaseIodoacetateEnolaseFluridePhosphogJycerate kinaseArsenatePYRUVATE - ACETYL CoAPyruvate DehydrogenaseArseniteCITRIC ACID CYCLEAconitaseFluroacetatea Ketoglutarate dehydrogenaseArseniteSuccinate dehydrogenaseMalonate